Which of the following is associated with bile duct carcinoma?
1. Clonorchis
2. Opisthorchis
3. E. granulosus
4. Both 1 and 2

Correct answer: 4. Both 1 and 2

Explanation: Clonorchis is a liver fluke parasite that humans can get by eating raw or undercooked fish, crabs, or crayfish from areas where the parasite is found. Found across parts of Asia, Clonorchis is also known as the Chinese or oriental liver fluke. Liver flukes infect the liver, gallbladder, and bile duct in humans. 
Opisthorchis species are liver fluke parasites that humans can get by eating raw or undercooked fish, crabs, or crayfish, Liver flukes infect the liver, gallbladder, and bile duct in humans.
Ref :https://www.cdc.gov/parasites/opisthorchis/index.html
       https://www.cdc.gov/parasites/clonorchis/disease.html